All of the following drugs require dose reductionin cirrhosis except aEUR'
1. Lorazepam
2. Diazepam
3. Metronidazole
4. Rifampicin

Correct answer: 1. Lorazepam

Explanation: Lorazepam Hepatic metabolism accounts for the clearance of all benzodiazepenes. Most of the benzodiazepenes undergo metabolism (microsomal oxidation) in the liver. The metabolites are subsequently conjugated (phase 11 reactions) to form glucuronides that are excreted in urine. Thus in liver disease the dose of benzodiazepenes is reduced. Lorazepanz is a benzodiazepene which is not metabolized in the liver. It undergoes conjugation without undergoing tnetabolism in the liver. Thus it does not require any dose reduction. Benzodiazepene not metabolized by liver and safe to use in liver disease : Loruzepam m Oxazepam T Temazepam